Which of the following is an illuminous, translucent and waxy poison?
1. Iodine
2. Ammonium bromide
3. Cobra venom
4. Yellow phosphorus

Correct answer: 4. Yellow phosphorus

Explanation: Yellow phosphorous is crystalline and highly toxic.its translucent,waxy and luminous. Ref: Modern Medical Toxicology By Jaypee Brothers, Medical Publishers, Pillay,Page 62,63; The essentials of forensic medicine and toxicology,By K.S Narayan reddy,29th Edition ,Page 493,494; Parikh's Textbook of Forensic medicine 6th Edition,Page 9.1-9.3